Most common cause of acute mesenteric ischemia is
1. Arterial thrombosis
2. Venous thrombosis
3. Embolism
4. Non occlusive disease

Correct answer: 3. Embolism

Explanation: .Superior mesenteric artery is commonly involved than inferior mesenteric artery. Often superior mesenteric vein can also get involved. Causes * Embolism (50%)--Sources - From left auricle, as seen in atrial fibrillation. - A mural infarct. - Atheroma from aorta or aneurysm. - Endocarditis vegetations. - Left atrial myxoma. * Thrombosis--may block the origin of the superior mesenteric artery and can cause ischaemia of full length of small bowel. It is life threatening. ref:SRB's manual of surgery,ed 3,pg no 806